Pandemic are caused by -a)  Hepatitis Bb)  Influenza-Ac)  Influenza-Bd)  Influenza-Ce) Cholera
1. bd
2. be
3. bcd
4. da

Correct answer: 2. be